The first center that gets activated for voluntary skilled movments is:
1. Neocortex
2. Hypothalamus
3. Basal ganglia
4. Cerebellum

Correct answer: 1. Neocortex

Explanation: Answer is A (Neocortex): The first center that gets activated to initiate skilled movements is the neocortex. The pyramidal system, comprised of precentral motor cortex, spinal motor neurons and the corticospinal tracts that connect the two, is responsible for initiating and carrying signals for voluntary muscle contractions that enable skilled movements. Neocortex The neocortex is considered to be the newest part of the brain phylogenetically It is comprised of the most superficial areas of the brain It includes the primary motor cortex, primary sensory cortex and association cortices The Neocortex is only found in mammals